Causes of Deep venous thrombosis include all of the following, Except.
1. Diabetes Mellitus
2. Oral contraceptives
3. Paroxysmal Nocturnal Hemoglobinuria (PNH)
4. Prolonged surgery

Correct answer: 1. Diabetes Mellitus

Explanation: Answer is A (Diabetes Mellitus) Diabetes Mellitus has not been mentioned as a risk factor for deep venous thrombosis. Prolonged surgery and OCP usage are established risk factors. PNH is associated with hypercoagulability (CMDT 2008) and an increased risk of deep venous thrombosis. Acquired Inherited Mixed/Unknown Orthopedic surgery Antithrombin deficiency High levels offactor VIII Neurosurgery Protein C deficiency High levels offactor IX Major abdominal surgery Protein S deficiency High levels offibrinogen Major trauma Factor V Leiden (FVL) High levels of TAFI Central venous catheters Prothrombin 20210A Low levels of TFPI